The physiological dead space is decreased by
1. Upright position
2. positive pressure ventilation
3. Neck flexion
4. Emphysema

Correct answer: 3. Neck flexion

Explanation: Dead space is defined as the volume of the airway that doesnot participate in gas exchange (It is nothing but ventilation occurs but perfusion doesnot occur) Anatomical Dead Space : from nasopharynx to respiratory bronchioles.average adult,normally 150ml Alveolar dead space : Alveoli that are ventilated but not perfused.usually it is absent Physiological or total dead space : Anatomical + Alveolar dead space Factors that increase dead space : upright position neck extension advanced age positive pressure ventilation decreased pulmonary perfusion (pulmonary emboli or pulmonary hypertension) lung diseases (emphysema or cystic fibrosis ) FACTORS THAT DECREASE DEAD SPACE : supine position , neck flexion , intubation Anatomical dead space is measured by single breath nitrogen test , physiological dead space is measured by modified bohr's equation.